Obligate intracellular parasite among the following is
1. Naegleria fowleri
2. Acanthamoeba
3. Toxoplasma
4. Balamuthia

Correct answer: 3. Toxoplasma

Explanation: Obligate intracellular parasites cannot reproduce outside their host cell, meaning that the parasite's reproduction is entirely reliant on intracellular resources. Toxoplasma,Cryptosporidium Bacteria-chlamydia ,Rickettsia